Which of the following is seen in Marfan's syndrome
1. Caused by mutation of fibrillin - 1 gene
2. Flat cornea seen
3. Aortic aneurysm occurs
4. All of the above

Correct answer: 4. All of the above

Explanation: Clinical features of Marfan's syndrome:
Reduced US : LS ratio
↑ Arm span
Arachnodactyly
Aortic aneurysm
Mitral valve prolapse
Supero - temporal dislocation of lens
Flat cornea.